Antagonist of Benzodiazepine is ?
1. Nalorphine
2. Carbamazepine
3. Naloxone
4. Flumazenil

Correct answer: 4. Flumazenil

Explanation: Ans. is 'd' i.e., Flumazenil o Flumazenil is a benzodiazepene analogue which competes with BZD agonists as well as inverse agonists for the BZD receptor and reverses their depressant or stimulant effects respectively. o It also antagonizes the action of Zolpidem, Zopiclone and Zopeplon as these drugs also act on BZD site.